Reliable screening test for hemophilia is
1. aPTT
2. BT
3. PT
4. CBP

Correct answer: 1. aPTT